Pointing index sign is seen in ____ nerve palsy -
1. Ulnar nerve
2. Radial nerve
3. Median nerve
4. Axillary nerve

Correct answer: 3. Median nerve

Explanation: Pointing index sign or oschner's clasp test : in median nerve injury ( at a level proximal to elbow). When both hands are clasped together , index & middle finger ,fail to flex due to the loss of action of long finger flexors of index & middle fingers ( digitorum superficilais & lateral half of digitorum profundus ) . The other fingers can be flexed by the functioning medial side of the flexor digitorum profundus , supplied by the ulnar nerve. REF:textbook of orthopedics, John Ebenezer, 4th edition pg.no. 338